In which part of fallopian tube, ectopic pregnancy is commonest:
1. Ampulla
2. Isthmus
3. Fimbria
4. Cornua

Correct answer: 1. Ampulla

Explanation: Ans. A i.e. Ampulla